All of the following are predominant motor neuropathy except -
1. Acute inflammatory demyelinating polyradiculo neuropathy
2. Porphyric neuropathy
3. Lead intoxication
4. Arsenic intoxication

Correct answer: 4. Arsenic intoxication